Transition temperature of lipid bilayers of cell membrane is increased by-
1. Cholesterol
2. Saturated fatty acids
3. Hydrocarbons
4. Unsaturated fatty acids

Correct answer: 2. Saturated fatty acids

Explanation: B i.e Saturated fatty acids